The enzyme involved in the first committed step of glycolysis is:
1. Phosphofructokinase
2. Glucose-6-phosphatase
3. Hexokinase
4. Enolase

Correct answer: 1. Phosphofructokinase